False regarding hypernephroma is -
1. Radiosensitive
2. Arise from cortex usually from pre existing adenoma
3. May present with rapidly developing varicocele
4. Usually adenocarcinoma

Correct answer: 1. Radiosensitive

Explanation: RCC or hypernephroma is one of the most radioresistant and chemoresistant tumors. In men rapidly developing varicocele is rare but impressive sign for RCC occuring most often on the left side. It occurs because left gonadal vein is obstructed where it joins the left renal vein. As already stated RCC originates in the cortex and tends to grow out into perinephric tissue causing characteristic bulge or mass effect. About adenomas Adenomas are the most common benign renal parenchymal lesions. - Despite the classification of adenoma as a benign tumor, no clinical, histologic or immunohistochemical criteria can differentiate renal adenoma from renal carcinoma. Ref: Sabiston 20th Ed. ; Schwartz 11th Ed.